Inversion and eversion occurs at which joint
1. Subtalar and midtarsal
2. Calcaneo navicular
3. Midtarsal
4. Calcaneocuboid only

Correct answer: 1. Subtalar and midtarsal

Explanation: A. i.e. Subtalar & mid tarsal joint